Which of the following drugs inhibit 5'-deiodinase?
1. Propylthiouracil
2. Methimazole
3. Lugol's iodine
4. Radioactive iodine

Correct answer: 1. Propylthiouracil

Explanation: (Ref: KDT 6/e p249, 250) For the peripheral conversion of T4 to T3 the enzyme needed is 5'-deiodinase. It is inhibited by Propylthiouacil, Propanolol, Amiodarone.